Which of the following feature is NOT true regarding Chlamydia Trachomatis?
1. Elementary body is metabolically active
2. Life cycle is biphasic
3. It inhibits apoptosis of epithelial cells
4. Has an ability to inhibit lysosomal fusion

Correct answer: 1. Elementary body is metabolically active

Explanation: The replicative cycle of chlamydiae involves two forms of the organism (biphasic): a small, hardy infectious form termed the elementary body (EB), and a larger fragile intracellular replicative form termed the reticulate body (RB). The EB is a metabolically inert form that neither expends energy nor synthesizes protein. It enters the cell in an endocytotic vacuole and begins the process of converting to the replicative RB. The ability to inhibit lysosomal fusion is unique to chlamydia and enables the EB to survive in a vesicle referred to as an inclusion. C trachomatis also inhibits apoptosis of epithelial cells, thus enabling completion of its replicative cycle. Ref: Ray C.G., Ryan K.J. (2010). Chapter 39. Chlamydia. In C.G. Ray, K.J. Ryan (Eds), Sherris Medical Microbiology, 5e.